Extremely lethal among all thyroid tumors is:
1. Medullary carcinoma.
2. Papillary carcinoma.
3. Anaplastic carcinoma.
4. Follicular carcinoma.

Correct answer: 3. Anaplastic carcinoma.